A patient Mohan, aged 60 years, needs an eye examination. He needs a drug which will dilate his eyes but not paralyse his ciliary muscles –
1. Atropine
2. Phenylephrine
3. Cyclopentolate
4. Tropicamide

Correct answer: 2. Phenylephrine

Explanation: Cycloplegics cause paralysis of accommodation and dilate the pupil → Atropine, homatropine, Cyclopentolate.
Only mydriatic (dilate pupil) but no cycloplegia →   Phenylephrine.